Ilio-pectineal line is used to determine difference in -
1. Sex
2. Race
3. Age
4. None of the above

Correct answer: 1. Sex

Explanation: Ilio-pectinate line: to determine the sex of an individual It is well marked and rough in males It is rounded and smooth in females REF: The Synopsis of Forensic Medicine and Toxicology by Dr K.S.Narayan Reddy 29th edition page no: 36.